Dementia is seen in all except
1. Schizophrenia
2. Alzheimer's disease
3. Huntington's chorea
4. Pick's disease

Correct answer: 1. Schizophrenia

Explanation: Common causes of dementia are Parenchymatous brain diseases (Alzheimer's disease, Pick's disease, Parkinson's disease, Huntington's chorea, Lewy body dementia) Vascular dementia Toxic dementia- Psychotropic drugs Metabolic dementia- Wilson's disease Endocrine causes- Thyroid, parathyroid, adrenal dysfunction Deficiency dementia- Pernicious anaemia Dementia due to infections- Neurosyphilis Neoplastic dementia Traumatic dementia- Chronic subdural haematoma Hydrocephalic dementia- Normal pressure hydrocephalus (Ref: A short textbook of psychiatry, Niraj Ahuja, 7th edition, pg no.24)